Which of the following does not predispose to cholangiocarcinoma
1. Ulcerative colitis
2. Clonorchis sinensis
3. Choledochal cyst
4. Chronic pancreatitis

Correct answer: 4. Chronic pancreatitis